A 10 cm ovarian cyst is detected incidentally in an 8 week pregnant woman; management:
1. Immediate removal by laparotomy
2. CT to rule out malignancy and secondaries
3. Second trimester surgery
4. Remove at time of cesarean section

Correct answer: 3. Second trimester surgery

Explanation: For ovarian cysts >=10 cm, because of the substanial risk of malignancy, torsion, or labor obstruction, surgical removal is reasonable option. Surgery is preferably done in the second trimester.